NRHM goal for IMR is to reduce it by ?
1. 10
2. 30
3. 40
4. None

Correct answer: 2. 30

Explanation: Ans. is 'b' i.e., 30 NRIIM goal for infant mortality rate is to reduce it to 30 per 1000 live births.